A 25-year-old male gives a history of redness, pain and mild diminution of vision in one eye for past 3 days. There is also a history of low backache for the past one year. On examination there is circumcorneal congestion, cornea is clear apart from a few fine keratic precipitates on the corneal endothelium, there are 2+ cells in the anterior chamber and the intraocular pressure is within normal limits. The patient is most likely suffering from
1. Acute attack of angle closure glaucoma
2. HLA B-27 related anterior uveitis
3. JRA associated uveitis
4. Herpetic keratitis

Correct answer: 2. HLA B-27 related anterior uveitis

Explanation: B i.e. HLA-B-27 related